The commonest route of transmission of HIV from the mother to the baby is –
1. Vertical transmission during pregancy
2. During delivery through vagina
3. Breast milk
4. Constant touch and handling

Correct answer: 2. During delivery through vagina